Most important vitamin, which promotes wound healing ?
1. Vitamin C
2. Vitamin D
3. Vitamin A
4. Niacin

Correct answer: 1. Vitamin C

Explanation: Vitamin C is required for collagen synthesis.Due to its important role in collagen synthesis, vitamin C is required for adequate wound healing.